Birth trauma is a risk factor for:
1. Prolapse uterus
2. Endometriosis
3. PID
4. Abortions

Correct answer: 1. Prolapse uterus

Explanation: Birth trauma is an important aetiological factor for prolapse.